Instrument used for lateral condensation of guttapercha along the canal wall
1. Barbed broach
2. Plugger
3. Reamer
4. Spreader

Correct answer: 4. Spreader